The minimum intensity of stimulus applied for adequate time to produce a response is called
1. Subthreshold stimulus
2. Suprathreshold stimulus
3. Rheobase
4. Chronaxie

Correct answer: 3. Rheobase

Explanation: Rheobase (R) refers to the minimum intensity of stimulus which if applied for adequate time (utilization time) produces a response.Chronaxie (C) refers to the minimum duration for which the stimulus of double the rheobase intensity must be applied to produce a response. Ref: Indu Khurana Medical Physiology for Undergraduates, 1st ed, p 51